The screening test for gestational diabetes mellitus that has highest sensitivity is :
1. Glycosylated Hb
2. Blood fructosamine
3. 50gms glucose challenge test
4. Random blood sugar

Correct answer: 3. 50gms glucose challenge test

Explanation: 50gms glucose challenge test